Which of the following is false about erythema marginatum?
1. Lesions are serpiginous
2. Evanescent rash
3. Rash improves on application of cold pack
4. Itchy rash

Correct answer: 4. Itchy rash

Explanation: Erythema marginatum Rash of acute rheumatic fever has a distinctive pattern of enlarging and shifting transient annular lesions. Erythema marginatum is one of the major criteria for diagnosis of rheumatic fever. - It is an evanescent macular rash that has following characteristic - Begins as pink macules that clear centrally, leaving serpeginous spreading edge Occurs usually on trunk, sometimes on limbs, never on face Non itchy rash